IgE receptors are present on -
1. Mast cells
2. NK cells
3. B cells
4. Histiocytes

Correct answer: 1. Mast cells

Explanation: . Mast cells